Fibroid uterus may present with all of the following except?
1. Pelvic mass
2. Infertility
3. Amenorrhoea
4. Polymenorrhoea

Correct answer: 3. Amenorrhoea

Explanation: Amenorrhea is the absence of a menstrual period in a woman of reproductive age.
Physiological states ofamenorrhoea are seen, most commonly, during pregnancy and lactation (breastfeeding), the latter also forming the basis of a form of contraception known as the
lactationalamenorrhoea method.